Which of the following features are of naso alveolar cyst
1. An ovoid shaped radiolucency above the lateral incisor and canine teeth
2. Erosion of base above lateral incisor and canine teeth
3. An inverted funnel shaped radiolucent lesion above the roots of lateral incisor and canine teeth
4. A pear shaped radiolucent Lesion between roots of lateral incisor and canine teeth

Correct answer: 2. Erosion of base above lateral incisor and canine teeth